Which among the following is not a predisposing factor for hepatocellular carcinoma?
1. Hepatitis B
2. Females
3. Hepatitis C
4. Afla toxins

Correct answer: 2. Females

Explanation: Ans: b (Females) Ref: Robbins, 7th ed, p. 924; Harrison, 16th ed, p. 535; Sabiston, 17th ed, p. 1548Hepatocellular Ca is more common in males (about 4 times). Other 3 options are definitely predisposing factors for HCCHepatocellular CaMore common in males60 - 90% asso.with cirrhosis liverRisk Factors;1. Hepatitis B& C2. Alcoholic liver disease3. Food contamination (Aflatoxins)4. Tyrosinaemia5. Hereditary hemochromatosis6. Liver diseases like primary biliary cirrhosis, a 1 antitrypsin deficiency.Fibrolamellar carcinomaFibrolamellar carcinoma is a variant of HCC, with better prognosis. It is more common in young females (equal incidence according to Robbins) and is a grossly scirrhous tumour with fibrous bands coursing through it.Tumour markers - Neurotensin B, vitamin B12 binding capacityNo association with HBV infection or cirrhosis